Window period in HIV is from -
1. Infection to appearance of antibodies in serum
2. Infection to appearance ofviral particles in blood
3. Infection to appearance of symptoms
4. Infection to decrease of CD4 lymphocytes

Correct answer: 1. Infection to appearance of antibodies in serum

Explanation: It may takr 2-8 weeks to months for antibodies to appeae after infection and during part of this periof the individual may be highly infectiousThis seronegative infective stage is known as tbe window period. REF:ANANTHANARAYAN AND PANIKER'S TEXTBOOK OF MICROBIOLOGY 9TH EDITION PAGE NO-579